Which of the following is involved in peristalsis by causing relaxation ?
1. Substance P
2. Acetylcholine
3. VIP
4. Norepinephrine

Correct answer: 3. VIP

Explanation: Ans. is 'c' i.e., VIP In peristlasis :- Acetylcholine & substance P - Causing smooth muscle contraction. VIP, NO & ATP - Producing relaxation ahead of stimulus.